In Von Hippel-Lindau Syndrome, the retinal vascular tumours are often associated with intracranial hemangioblastoma. Which one of the following regions is associated with such vascular abnormalities in this syndrome?
1. Optic radiation
2. Optic tract
3. Cerebellum
4. Pulvinar

Correct answer: 3. Cerebellum

Explanation: Ans. (c) CerebellumRef: Kanski 7/e, p. 522-523 VHL syndrome#AD condition - 3p26 -VHL gene#CNS hemangioma Cerebellum Spinal cord Medulla/pons Retinal vascular tumours capillary hemangiomas (25% cases)# Pheochromocytoma# Renal carcinoma